An increased incidence of cholangiocarcinoma is seen in all of the following except -
1. Hydatid cyst of liver
2. Polycystic disease of liver
3. Sclerosing cholangitis
4. Liver flukes

Correct answer: 1. Hydatid cyst of liver

Explanation: Ans. is 'a' i.e., Hyadatid cyst of liver Polycystic disease of liver is a predisposing factor for cholangiocarcinoma